A 26-year old lady has just recovered from acute manic episode. She has a diagnosis of bipolar affective disorder. Which one of the following is not used for the prophylaxis of the condition?
1. Carbamazepine
2. Lithium
3. Semisodium Valproate
4. Chlorpromazine

Correct answer: 4. Chlorpromazine

Explanation: Lithium, Semi Sodium Valproate (Depakote) and Carbamazepine are used in prophylaxis of Bipolar disorder. Lithium is the drug of choice but it will require frequent blood level montoring due to it's narrow therapeutic index. Sodium valproate cannot be used in women of child bearing age due to possible teratogenicity to the foetus. All mood stabilisers work by preventing manic episodes. They have very little effcet on the depression. However, if mania is controlled the episodes of depression are likely to be insignificant. Chlorpromazine is an old generation anti-psychotic.